All the following are true of Craniopharyngioma except -
1. Derived from Rathke's pouch
2. Contains epithelial cells
3. Present in sella or infrasellar location
4. Causes visual disturbances

Correct answer: 3. Present in sella or infrasellar location